In ovarian cycle increaed levels of LH are due to
1. Increased Progesterone
2. Increased FSH
3. Increased Androgens
4. Increased Estrogen

Correct answer: 4. Increased Estrogen

Explanation: Luteinising Hormone 

LH is a water-soluble glycoprotein of high molecular weight secreted by beta cells of the anterior pituitary gland
LH surge initiated by estrogen lasts for 48 h. LH level doubles up in 2 hrs and peak plateaus for 14 hours before declining.
Minimum of 75 ng/ml is required for ovulation